Kali Rani a 20yr old girl presents with history of rapidly developing hirsutism and amenorrhea. To establish the diagnosis you would like to proceed with which of the following tests in blood :
1. 17 - OH progesterone
2. DHEA
3. Testosterone
4. LH : FSH ratio

Correct answer: 3. Testosterone

Explanation: Ans. is c i.e. Testosterone